Cu T 200 is so called -
1. 200 sqmm of Cu2+ over loop
2. 200 mm of Cu over loop
3. For 200 days, Cu concentration does not changes
4. 200 sqcm of Cu over loop

Correct answer: 1. 200 sqmm of Cu2+ over loop

Explanation: Ans. is 'a' i.e., 200 sq. mm of Cu+ over loop o The numbers included in the names of the intrauterine devices refer to the surface area (in sq. mm) of cooper on the device.